Thromboangitis obliterans is associated with -
1. HLA B27
2. HLA - DR4
3. HLA -B5
4. HLA - DR2

Correct answer: 3. HLA -B5

Explanation: Thromboangiitis Obliterans (Buerger Disease)Thromboangiitis obliterans (Buerger disease) is a distinctive disorder that frequently results in severe vascular insufficiency and gangrene of the extremities. It is characterized by focal acute and chronic inflammation of medium-sized and small arteries, especially the tibial and radial arteries, associated with thrombosis; occasionally, secondary extension into adjacent veins and nerves may be seen. Buerger the disease occurs almost exclusively in heavy tobacco smokers and usually develops before age 35. The etiology is unknown. Direct endothelial cell toxicity caused by some component of tobacco is suspected; alternatively, a reactive compound in tobacco may modify vessel wall components and induce an immune response. Indeed, most patients with Buerger disease are hypersensitive to tobacco extracts. A genetic predilection is suggested by an increased prevalence in certain ethnic groups (Israeli, Indian subcontinent, Japanese) and an association with certain HLA haplotypes. Robbins basic pathology 9th edition page no 354